Which one of the following is a nucleoside analog reverse transcriptase inhibitor?
1. Efavirenz
2. Nevirapine
3. Zidovudine
4. Saquinavir

Correct answer: 3. Zidovudine

Explanation: (C) Zidovudine # RTIs come in 3 forms:> Nucleoside analog reverse transcriptase inhibitors (NARTIs or NRTIs)> Nucleotide analog reverse transcriptase inhibitors (NtARTIs or NtRTIs)> Non-nucleoside reverse transcriptase inhibitors (NNRTIs)> Nucleoside analog reverse transcriptase inhibitors (NARTIs or NRTIs): compose the first class of antiretroviral drugs developed. In order to be incorporated into the viral DNA, NRTIs must be activated in the cell by the addition of three phosphate groups to their deoxyribose moiety, to form NRTI triphosphates. This phosphorylation step is carried out by cellular kinase enzymes. Zidovudine, Didanosine, Zalcitabine, Stavudine, Lamivudine, Abacavir, Emtricitabine> Nucleotide analog reverse transcriptase inhibitors (NtARTIs or NtRTIs): Normally, nucleoside analogs are converted into nucleotide analogs by the body. Taking nucleotide analog reverse transcriptase inhibitors (NtARTIs or NtRTIs) directly allows conversion steps to be skipped, causing less toxicity. Tenofovir, Adefovir> Non-nucleoside reverse transcriptase inhibitors (NNRTIs): NNRTIs are the third class of antiretroviral drugs that were developed. This class of drugs was first described at the Rega Institute for Medical Research (Belgium): Efavirenz, Nevirapine, Delavirdine, protease inhibitors (sequinavir, Indinavir, Ritonavir, Nelfinavir etc.,)> Research have designed molecules which dually inhibit both reverse transcriptase (RT) and integrase (IN). These drugs have been termed "Portmanteau inhibitors".